All of the following are well recognised predisposing factors for adult respiratory distress syndrome, except:
1. Multiple blood transfusions
2. Septicemia
3. Status asthmaticus
4. Toxic gas inhalation

Correct answer: 3. Status asthmaticus

Explanation: Status asthmaticus is an example of type 2 respiratory failure while ARDS is type 1 respiratory failure. All other choices lead to cytokines release and damage the alveoli leading to ARDS.